Which of the following hepatitis has worst prognosis?
1. HBV HDV co-infection
2. HDV super infection on HBV
3. HBV alone
4. HDV alone

Correct answer: 2. HDV super infection on HBV

Explanation: ANSWER: (B) HDV super infection on HBVREF: Harrison's 17th ed chapter 300Though prognosis of HDV with HBV is a bad prognosis, however prognosis of super infection is worse than coinfection.